Shortest acting mydriatic and cycloplegic:
1. Cyclopentolate
2. Atropine
3. Homatropine
4. Tropicamide

Correct answer: 4. Tropicamide

Explanation: Ans. D. TropicamideMydriatic action is useful for fundus examination and cycloplegic is useful for correct measurement of refractive error.Atropine is longest acting and tropicamide is shortest acting drug Anticholinergic drugs are contraindicated in Glaucoma.